The PO2 (in mm Hg) inside skeletal muscle cells during exercise is closest to:
1. 3
2. 10
3. 20
4. 30

Correct answer: 1. 3

Explanation: The PO2 (in mm Hg) inside skeletal muscle cells during exercise is closest to - 3mm Hg The PO2 decreases severly due to muscle's oxygen demand is very high.